A 70 year old man develops pneumonia and septicemia. Patient goes into renal failure and has a BP of 70/50 mm of Hg. Drug that should be used to maintain BP is
1. Adrenaline
2. Ephedrine
3. Phenylephrine
4. Nor epinephrine

Correct answer: 4. Nor epinephrine